Treatment of choice in Wegner's granulomatosis is
1. Cyclosporine
2. Cyclophosphamide
3. Steroids
4. Radiotherapy

Correct answer: 2. Cyclophosphamide

Explanation: Answer- B. CyclophosphamideCyclophosphamide alongwith glucocorticoids is the treatment of choice, For selected patients whose disease is not immediately life threatening or in those patients who have experienced significant cyclophosphamide toxicity, methotrexate together with glucocorticoids may be considered as an alternative